All of the following statements about neural cells are true except
1. The human CNS contains about (10)11 neurons
2. Ependymal cells are involved in phagocytic functions
3. Both
4. None

Correct answer: 2. Ependymal cells are involved in phagocytic functions

Explanation: Lining the CSF-filled ventricles, the ependymal cells play an important role in the production and regulation of CSF. Their apical surfaces are covered in a layer of cilia, which circulate CSF around the CNS. Ref: guyton and hall textbook of medical physiology 12 edition page number:813,814,815